Free fatty acid produced in adipose tissue is transported by
1. Globulin
2. Albumin
3. Ceruloplasmin
4. None

Correct answer: 2. Albumin

Explanation: Liver-Adipose Tissue AxisLiver produces fatty acid and TAG (triacylglycerol), which is transported as VLDL (very low density lipoprotein) in the blood. The fatty acids from VLDL are taken up by adipose tissue with the help of lipoprotein lipase, and stored as TAG. This neutral fat is hydrolysed by hormone-sensitive lipase into NEFA, which is carried byalbumin in blood. The NEFA is utilised by the peripheral tissues, excess of which can be taken up by liver cells. Thus there is a constant flux of fat molecules from liver to adipose tissue and backRef: DM Vasudevan - Textbook of Biochemistry, 6th Edition, page no: 142